Hyperacute rejection occurs within:
1. 12 hours
2. 2 weeks
3. 1 month
4. 3 months

Correct answer: 1. 12 hours

Explanation: Ref. Robbins Pathology. 9th edition. Page. 233
 
Hyperacute Rejection

This form of rejection occurs within minutes or hours after transplantation.
A hyperacutely rejecting kidney rapidly becomes cyanotic, mottled, and flaccid, and may excrete a mere few drops of bloody urine.
Immunoglobulin and complement are deposited in the vessel wall, causing endothelial injury and fibrin-platelet thrombi
Glomeruli undergo thrombotic occlusion of the capillaries, and fibrinoid necrosis occurs in arterial walls.
The kidney cortex then under- goes outright necrosis (infarction), and such nonfunctioning kidneys have to be removed.